Rothera's test used for detection of
1. Proteins
2. Glucose
3. Fatty acid
4. Ketones

Correct answer: 4. Ketones

Explanation: The presence of ketosis can be established by the detection of ketone bodies in urine by Rothera's test.Rothera's test: Saturate 5 mL of urine with solid ammonium sulfate. Add a few drops of freshly prepared sodium nitroprusside followed by 2 mL of liquor ammonia along the sides of the test tube. Development of a purple ring indicates the presence of ketone bodies in urine. Strip tests based on the same principle are also available.Ref: D M Vasudevan 7th edition Page no: 166